Which of the following is not an advantage of using non anatomic teeth?
1. Freedom of occlusion is present
2. Less horizontal forces during function
3. Balanced occlusion can be developed conveniently
4. Lack of interference when denture settle

Correct answer: 3. Balanced occlusion can be developed conveniently

Explanation: Non Anatomic Teeth
These teeth have 0 degree cusp angles. These designs evolved to over-come the disadvantages of the normal anatomic teeth. These teeth do not provide balanced occlusion. Balanced occlusion in  dentures with these teeth is obtained by balancing ramps and compensatory curves. Bilateral and protrusive balance is not possible with a purely ﬂat occlusion.